Height in centimeters by cube root of body weight is also known as?
1. Quetlet index
2. Broca index
3. Ponderal's Index
4. Corpulence index

Correct answer: 3. Ponderal's Index

Explanation: Ref: Park 25th edition Pgno : 418